Excessive monomer added to acrylic resin will result in _____.
1. Increased expansion
2. Increased heat generation
3. Increased shrinkage
4. Increased strength

Correct answer: 3. Increased shrinkage

Explanation: Using more monomer than needed will cause increased shrinkage. The more monomer used, the less expansion, less heat, and reduced strength will be produced.